Ideal time for doing quadruple test:
1. 8 - 12 weeks
2. 11- 15 weeks
3. 15 - 21 weeks
4. 20- 22 weeks

Correct answer: 3. 15 - 21 weeks

Explanation: Quadruple test : It includes alpha-fetoprotein (AFP) human chorionic gonadotropin (hCG) unconjugated estriol (uE3) inhibin A . Ideal time to do quadruple test is 15-21 weeks